Useful in acute diarrhea:
1. Zinc
2. Magnesium
3. Calcium
4. Potassium

Correct answer: 1. Zinc

Explanation: Ans: (a) ZincRef: OP Ghai 8th ed./121* The World Health Organization (WHO) and UNICEF recommend daily 20 mg zinc supplements for 10-14 days for children with acute diarrhea, and 10 mg per day for infants under six months old, to curtail the severity of the episode and prevent further occurrences in the ensuing-two to three months, thereby decreasing the morbidity considerably.* One out of every five children who die of diarrhea worldwide is an Indian. Daily around 1,000 children die of diarrhea in India, which means 41 children lose their lives every hour.